"Heart failure" cells are found in:
1. Myocardium
2. Lungs
3. Liver
4. Spleen

Correct answer: 2. Lungs

Explanation: Lungs